A child presents with a solitary white well-defined patch on his right thigh. Diagnosis is –
1. Piebaldism
2. Albinism
3. Nevus achromicus
4. Acral vitiligo

Correct answer: 3. Nevus achromicus

Explanation: Information is this question are :-


Lesion is on thigh
Unilateral lesion (Isolated lesion on Right thigh)


Both these suggest Nevus achromicus, i.e. Nevus acromicus involves :-


Trunk and proximal extremity (thigh in this question)
Lesion is unilateral


Also keep in mind that, though Nevus achromicus presents since birth, it may be missed at birth and the patient may present in childhood